Rigor mortis first seen in:
1. Eyelids
2. Heart
3. Limbs
4. Neck

Correct answer: 2. Heart

Explanation: Ans. (B). Heart(Ref: Essentials of Forensic medicine, Dr KS narayana Reddy, 33th Edition, P:86)The Order of Appearance of Rigor: (Nysten's rule):It first appears in involuntary muscles; the myocardium becomes rigid in an hour,Then it develops in eyelids, neck and lower jaw and passes upwards to the muscles of the face, and downwards to the muscles of the chest, upper limbs, abdomen and lower limbs and lastly in the fingers and toes.